In a child, the anaesthetic of choice is –
1. Enflurane
2. Isoflurane
3. Sevoflurane
4. Halothane

Correct answer: 3. Sevoflurane